Common cause of congenital stridor in child-
1. Laiyngomalacia
2. Laryngeal web
3. Hemangioma
4. Subglottic stenosis

Correct answer: 1. Laiyngomalacia

Explanation: Ans. is 'a' i.e., Laryngomalacia STRIDORo Due to upper airway obstruction, o Types -Inspiratory stridor - Obstruction above vocal cords (supraglottic).Expiratory stridor - Obstriction distal trachea.Diphasic - From supraglottic or proximal tracheal.Causeso Infective:Croup (lanyngo tracheo bronchitis)Bacterial trachetisRetropharyngeal abscess o Congenital:Laryngumalacia: 60% of all total most common cause.Vocal cord paralysis - 2nd most common.Subglottic stenosis - 3rd most common.o Iatrogenic : Long term intubation leads to subglottic stenosis - most common causes of aquired stridor in children,o Neoplasm : Recurrent respiratory papilloma (RRP) MC benign tumor and laynx.